Pseudoarthrosis of Tibia is classical feature of?
1. Sturge Weber syndrome
2. Neurofibromatosis type 1
3. Neurofibromatosis type 2
4. Tuberous sclerosis

Correct answer: 2. Neurofibromatosis type 1

Explanation: Pseudoarthrosis of Tibia and scoliosis are classicle feature of NF 1.